Treatment of choice for annular pancreas is
1. Duodenoduodenostomy
2. Gastrojejunostomy
3. Vagotomy
4. Billroth type II gastrectomy

Correct answer: 1. Duodenoduodenostomy

Explanation: Ans. is 'a' i.e., Duodenoduodenostomy "The usual treatment is bypass (duodenoduodenostomy)" -- Bailey and Love"Retrocolicduodenojejunostomy is the procedure of choice." -- Harrison"Treatment usually involves bypass, through duodenojejunostomy, rather than resection." -- Sabiston"The surgical treatment of choice for duodenal obstruction due to duodenal stenosis or atresia or annularpancreas is a duodenoduodenostomy." -- Schwartz 9/e